Hypopigmented lesions are seen in -
1. Melasma
2. Lichen planus pigmentosus
3. Pityriasis alba
4. Urticaria pigmentosa

Correct answer: 3. Pityriasis alba

Explanation: In melasma brown / grey brown macular pigmentation with well defined scalloped margins. Pigmentation darkens on sun exposure. Lichen planus pigmentosus produces hyperpigmented slate grey to bluish black coloured macules. melasma is a accquired hyperpigmentary disorder characterised by brownish black or bluish macules over face Pityriasis Alba is the superficial fungal infection of skin caused by malasezia furfur produces hypo pigmented macules with brawny scales. urticaria pigmentosa is generalised cutaneous mastocytosis common in children characterised by small monomorphic tan to brown macules or papules present over the trunk IADVL textbook of dermatology, pigmentary disorders page 736, ssuperficil fungl infections page 286